Microbrasion is a procedure in clinical orthodontics
performed to
1. Clean the bracket base
2. Clean the archwire
3. Polishing the bracket
4. Removal of white spot lesions

Correct answer: 4. Removal of white spot lesions